Classical indications of gamma knife amongst the following is:
1. Glioblastoma
2. Arterio-venous malformation
3. Tuberculoma
4. Hepatocellular carcinoma

Correct answer: 2. Arterio-venous malformation

Explanation: Ans. B. Arterio- venous malformationThe classic indication of cobalt based stereotactic radiosurgery (SRS) and Gamma knife are:* Arterio-venous malformation* Acoustic Schwannoma* Pituitary Adenoma* Meningioma* Trigeminal NeuralgiaGamma knife aims gamma radiation through a target point in the patient's brain. The patient wears a specialized helmet that is surgically fixed to the skull. An ablative dose of radiation is thereby sent through the tumor in one treatment session while surrounding brain tissues are relatively spared.NOTE: SRS has been used in the treatment of almost every intracranial lesion but is commonly used in the treatment of the above-mentioned conditions, (hence the answer is AV malformation and not glioblastoma)